Sec 84 deals with
1. Testamentary capacity
2. Management of property
3. McNaughten's rule
4. Consent

Correct answer: 3. McNaughten's rule

Explanation: McNaughten's rule IPC sec 84: Nothing is an offence which is done by a person who, at the time of doing it, by the reason of unsoundness of mind, is incapable of knowing the nature of the act, or that he is doing, what is either wrong or contrary to law. Ref: FORENSIC MEDICINE AND TOXICOLOGY Dr PC IGNATIUS THIRD EDITION PAGE 369